Gradeneigo syndrome is characterized by all the following except -
1. Diplopia
2. Retroorbital pain
3. Persistent ear discharge
4. Preauricular sinus

Correct answer: 4. Preauricular sinus

Explanation: Ans. is 'd' i.e., Preauricular sinus * Gradenigo syndrome has been explained in previous sessions.